Which of the following drug is NOT effective against chemotherapy induced vomiting?
1. Aprepitant
2. Hyoscine
3. Metoclopramide
4. Ondansetron

Correct answer: 2. Hyoscine

Explanation: Ans. (b) HyoscineRef: KDT 6th ed. / 646-47